Glomus tumor arises from
1. Modified smooth muscle cells
2. Modified skeletal muscle cells
3. Merkel discs
4. Melanocytes

Correct answer: 1. Modified smooth muscle cells

Explanation: Ans. is 'a' i.e., Modified smooth muscle cells Glomus tumors (Glomangioma)* Glomus tumors are benign but exquisitely painful tumors arising from modified smooth muscle cells of the glomus bodies, arteriovenous structures involved in thermoregulation.* Although they may superficially resemble hemangiomas, glomangiomas arise from smooth muscle cells rather than endothelial cells.* They are most commonly found in the distal portion of the digits, especially under the fingernails.* Excision is curative.